In cranial synostosis scaphyocephaly there is premature closure of which suture ?
1. Sagittal suture
2. Coronal suture
3. Lamdoid suture
4. All above

Correct answer: 1. Sagittal suture